Decarboxylation of valine, leucine and isolucine is defective in which of the following conditions?
1. Maple Syrup urine disease
2. Hartnup disease
3. Alkaptonuria
4. GM1 Gangliosidosis

Correct answer: 1. Maple Syrup urine disease

Explanation: Branched chain keto acids include valine, leucine and isoleucine. Leucine is ketogenic, valine is glucogenic and isoleucine is both glucogenic and ketogenic. The thiamine requiring enzymes required for decarboxylation of these aminoacids are defective in maple syrup urine disease (MSUD). Ref: Textbook of Biochemistry By DM Vasudevan, 3rd Edition, Page 160.